A 5-year-old girl is admitted to the hospital with an upper respiratory tract infection. During physical examination her sense of hearing appears to be poor. Her right ear is painful, and upon otoscopic examination a golden-brown fluid can be observed through the tympanic membrane. Which is the most likely direct route for the spread of an infection from the upper respiratory tract to the middle ear cavity?
1. Pharyngotympanic tube
2. Choanae
3. Nostrils
4. Facial canal

Correct answer: 1. Pharyngotympanic tube

Explanation: The auditory (eustachian or pharyngotympanic) tube is a mucosal-lined tube that provides a direct connection from the nasopharynx to the middle ear cavity. A respiratory infection can travel from the upper respiratory tract to the oropharynx or nasopharynx and then on into the middle ear via the auditory tube. The choanae are paired openings from the nasal cavity into the nasopharynx and do not connect with the auditory tube or the middle ear. The facial canal and the internal acoustic meatus are passages for facial and vestibulocochlear nerves, respectively. Neither of these is a likely site for the spread of infection from the upper respiratory tract to the middle ear.